A newborn is double his height at birth by what age?
1. 2 1/2 years
2. 3 1/2 years
3. 4 1/2 years
4. 5 1/2 years

Correct answer: 3. 4 1/2 years

Explanation: Ans. is 'c' i.e., 4 1/2 years Height* The average birth height is 50 cm. The height gain in first year is around 25 cm (50% of birth height).* The height of a child becomes double the birth height at around 4l/i years and becomes triple by 12 years of age.* After the age of 4 years, a child grows at rate of 6 cm/year.AgeHeightBirth50 cm3 months60 cm9 months70 cm1 year75 cm2 years90 cm4 1/2 years100 cm